Inactivation of cortisol into cortisone occurs mainly in which organ?
1. Lungs
2. Liver
3. Adrenals
4. Kidney

Correct answer: 4. Kidney

Explanation: Cortisol is inactivated to cortisone by microsomal enzyme 11b-hydroxysteroid dehydrogenase type II This enzyme is mainly in the kidney. Other organs involved in this activity are colon, salivary glands and other target tissues.